Cubitus valgus is seen in
1. # Intercondylar of humerus
2. # of the olecranon
3. # Head of the radius
4. # Lateral condyle of humerus

Correct answer: 4. # Lateral condyle of humerus

Explanation: Fractures commonly showing cubitus valgus deformity due to malunion :
Fracture lateral condyle humerus
Monteggia Fracture Dislocation
Complications of lateral condylar humerus fractures
Cubitus valgus
Cubitus Pseudovirus (lateral spur)
Tardy ulnar nerve palsy
Osteonecrosis of the trochlea